Shenton line is seen in X-ray of
1. Knee
2. Shoulder
3. Elbow
4. Hip

Correct answer: 4. Hip

Explanation: Shenton line is an imaginary curved line drawn along the inferior border of the superior pubic ramus (superior border of the obturator foramen) and along the inferomedial border of the neck of femur. Ref essentials of orthopaedic maheshwari and mhaskar 6/e p150